Nerve passing through foramen ovale is:
1. Mandibular Nerve
2. Oculomotor
3. Greater petrosal nerve
4. Maxillary nerve

Correct answer: 1. Mandibular Nerve

Explanation: Ref: Grays Anatomy 40th edition pg: 410Explanation:Foramen OvaleCommunicates with infratemporal fossa* Motor root of Trigeminal nerve* Sensor root of Mandibular nerve* Accessory meningeaiartery* Lesser Petrosal nerve* Emissary vein connecting cavernous sinus with pterygoid venous plexusMnemonic: T-MALEForamen spinosum* Middle meningeal artery* Emissary veins* Nervous spinosum Mnemonic: MENForamen rofandum* Maxillary nerveJugular foramen* Inferior petrosal sinus* 9th,10th,11th cranial nerve* Meningeal banch of ascending pharyngeal artery